In a patient suffering from chronic myeloid leukemia, Hb falls from 11g% to 4g% in a short span of time, and splenomegaly occurs. The cause could be -a) Accelerated phaseb) CML in blast crisisc) Ineffective erythropoiesisd) Myelofibrosis
1. ac
2. a
3. ab
4. bc

Correct answer: 3. ab